In bacterial mRNA, Shane-Dalganro sequence is situated near which of the following codon?
1. CAG codon
2. UAG codon
3. AUG codon
4. UGA codon

Correct answer: 3. AUG codon

Explanation: Shine-Dalgarno sequence is apparently the eukaryotic small ribosomal subunit binds to the 5'end of a eukaryotic mRNA and scans along it until it encounters an AUG codon.They assist in aligning mRNA on the ribosomes. Ref: Biochemistry By Reginald Garrett, Charles M. Grisham, 2005 Page A 38 ; Biochemistry By J. Stenesh, Volume 1, Page 487